The following are the part of the triad of "Heat stroke" Except
1. Anhidrosis
2. Prickly heat
3. CNS dysfunction
4. Hyperpyrexia (rectal temperature >40* C)

Correct answer: 2. Prickly heat

Explanation: The classic triad of symptoms in 'Heatstroke' includes core temperatures in excess of 104 Fahrenheit (40 c), profuse sweating, and neurological disturbances such as difficulty walking, confusion, irritability and coma. Ref : Park 23rd edition Pgno : 748